Superior rectus is supplied by which cranial nerve:
1. Superior division of 3rd nerve
2. Inferior div. or 3rd nerve
3. Abducent nerve
4. Trochlear nerve

Correct answer: 1. Superior division of 3rd nerve

Explanation: A. i.e. Superior division of 3rd nerve Superior rectus & LPS are supplied by superior division of occulomotor nerveQ.